Needle shaped cry stals negatively birefringent on polarized microscopy is characteristic of which crystal associated arthropathy?
1. Gout
2. CPPD
3. Neuropathic arthropathy
4. Hemophilic arthropathy

Correct answer: 1. Gout

Explanation: Ans. is 'a' i.e., Gout o Crystal of Pseudogout :-Made up of calcium pyrophosphateWeakly positive birefringenU rhomboido Crystal of goutMade up of uric acid (monosodium urate)Strongly negative birefringent, needle shaped